In infants most sensitive audiometric screening is
1. Electrocochleography
2. BERA
3. Cortical evoked response
4. Tympanometry

Correct answer: 2. BERA

Explanation: BERA is the investigation of choice for congenital deafness in children.OAE (otoacoustic emissions) is the commonest screening test in neonates.Electrocochleography- Used to measure the electrical activity of the cochlea, commonly used to diagnose Meniere's disease. Ref: Hazarika; 3rd ed; Pg 64